Complement complex that attacks cell membrane is:
1. C12345
2. C23456
3. C34567
4. C56789

Correct answer: 4. C56789

Explanation: The complement complex attacking the cell membrane is membrane attack complex having a composition of C56789. Action of this complex leads to entry of fluid and ions inside the cells leading to cell lysis. Complement system has three main functions:- Inflammation Opsonization Cell lysis